All of the following are the markers for malignant germ cell tumors of ovary except:
1. CA-125
2. Alpha fetoprotein
3. HCG
4. LDH

Correct answer: 1. CA-125

Explanation: - most germ cell tumors secrete some tumor marker. - endodermal sinus tumors secrete alpha fetoprotein. - human chorionic gonadotrophin is secreted by choriocarcinoma. - tumors markers like placental alkaline phosphatase and lactic dehydrogenase may be elevated in dysgerminoma. - CA-125 is tumor marker in epithelial ovarian cancer. Reference : textbook of gynaecology Sheila balakrishnan, 2nd edition, pg no: 282